The "rotator cuff' muscle includes all EXCEPT
1. Supraspinatus
2. Infraspinatus
3. Teres major
4. Subscapularis

Correct answer: 3. Teres major

Explanation: (Teres Major) (489 - Snell 7th)ROTATOR CUFF - Four muscle - Supraspinatus, Infraspinatus Teres minor and the subscapularis - Form what is termed the "rotator cuff '. The tone of these muscles assists in holding the head of the humerus in the glenoid cavity of the scapula during movements at the shoulder joint. Therefore they assist in stabilizing the shoulder joint. The cuff lies on the anterior, superior and posterior aspects of the joint. The cuff is deficient inferiorly, and this is a site of potential weakness.* The commonest cause of pain around the shoulder is a disorder of the rototor cuff' (Rotator cuff syndrome)